which nNA contalne abnormal purine and pyrimidine:
1. tRNA
2. 23SrRNA
3. 16SrRNA
4. 5SrRNA

Correct answer: 1. tRNA

Explanation: Answer: a. tRNAtRNA molecule contain a high percentage of unusal bases, for example, dihydrouracil and have extensive intra-chain base pairing that leads to characteristic secondary and tertiary structure"- Lippincott 6th/ 418.The tRNA molecules contain a high percentage of unusual bases (for example, dihydrouracil) and have extensive intrachain base-pairing that leads to characteristic secondary and tertiary structure.Transfer RNA is unique among nucleic acids in its content of "unusual" bases. An unusual base is any purine or pyrimidine ring except the usual A, G, C, and U from which all RNAs are